Which of the following is true about flexibility of hydrocolloids?
1. Agar is more flexible then alginate
2. Alginate is more flexible than agar
3. Both have equal flexibility
4. None of the above

Correct answer: 2. Alginate is more flexible than agar

Explanation: Typical Properties of Alginate and Heavy-Bodied Agar Hydrocolloid Impression Materials